The porcelain-metal bond is
1. Chemical
2. Mechanical
3. 1 and 2
4. None of the above

Correct answer: 3. 1 and 2